Example for Sesamoid bone is:-
1. Rider's bone in adductor magnus
2. Pisiform in flexor carpi ulnaris.
3. Fabella in medial head of gastrocnemius
4. One bone in peronius tertius

Correct answer: 2. Pisiform in flexor carpi ulnaris.

Explanation: Sesamoid bone develops in tendon of muscles which are subjected to friction during the movements. These bones ossify after birth and act as pulleys. These bones are devoid of periosteum and lamellae. Examples are; 1) Patella in quadriceps femoris, 2) Pisiformis in flexor carpi ulnaris 3) Fabella in lateral head of gastrocnemius 4) Rider`s bone in adductor longus 5) Some unnamed bones in flexor hallucis brevis & peroneus longus.